Which of the following drugs cause oligospermia
1. Leflunomide
2. D-pencillamine
3. Methotrexate
4. Sulfasalazine

Correct answer: 4. Sulfasalazine

Explanation: Sulfasalazine can cause a reversible infertility in males open to changes in sperm number and morphology Refer Goodman and Gilman 12/e p1466